Benzoin methyl ether in a polymer indicates that they may be cured in the presence of:
1. UV light
2. Visible light
3. Infrared light
4. Diketone

Correct answer: 1. UV light

Explanation: Homopolymers of 4-acryloyloxybenzoin methyl ether (ABME) and 4-acryloyloxy-α-methylbenzoin methyl ether (AMBE)  as well as copolymers of AMBE with (-)-menthyl acrylate (MtA) and with different N,N-dialkylaminoethyl acrylates have been employed in the photoinitiated polymerization and crosslinking of a standard acrylic formulation for u.v. clear curable coatings.